Impaired immune competence is the predisposing factor in about half of all persons who develop
1. Histoplasmosis
2. Coccidoidomycosis
3. Blastomycosis
4. Cryptococcosis

Correct answer: 4. Cryptococcosis

Explanation: Fungal and yeast infections, predominantly candidiasis, aspergillosis, and mucormycosis, occur frequently in severely immunosuppressed patients, particularly those who have received broad-spectrum antibiotics for a prolonged period. A number of other types of fungal infection occur in these patients. About 75% of all cases of Cryptococcus neoformans infection occur in persons who have AIDS or lymphoma, are taking glucocorticoids, or are otherwise immunocompromised. The association of cryptococcal meningitis and Hodgkin's disease is important clinically.